Earliest feature of xerophthalmia is
1. Conjunctival xerosis
2. Bitot spots
3. Dry eye
4. Night blindness

Correct answer: 4. Night blindness

Explanation: Earliest - Night blindness.